In cardio pulmonary resuscitation, calcium can be given in all, EXCEPT -
1. Hypocalcemia
2. Hypokalemia
3. Hyperkalemia
4. Calcium channel blocker

Correct answer: 2. Hypokalemia